Thiamine is essential for
1. Isocitrate dehydrogenase
2. Succinate dehydrogenase
3. Pyruvate dehydrogenase
4. Acetyl CoA synthetase

Correct answer: 3. Pyruvate dehydrogenase

Explanation: The  enzyme  pyruvate  dehydrogenase catalyses  (oxidative  decarboxylation)  the irreversible conversion of  pyruvate to  acetyl CoA. This reaction is dependent on thiamine pyrophosphate.